Lesions caused by Entamoeba histolytica predominantly involve
1. Caecum and large intestine
2. Duodenum
3. Stomach
4. Jejunum and Ileum

Correct answer: 1. Caecum and large intestine

Explanation: Trophozoites generally infect the large intestinal mucosa but under certain conditions they may perforate the gut and invade other organs (especially liver, lungs and brain). 
In many cases, the trophozoites remain confined to the intestinal lumen (noninvasive infection) of individuals who are asymptomatic carriers, passing cysts in their stool. 
In some patients the trophozoites invade the intestinal mucosa (intestinal disease), or, through the bloodstream, extraintestinal sites such as the liver, brain, and lungs (extra-intestinal disease), with resultant pathologic manifestations.

Ref :
https://www.cdc.gov/parasites/amebiasis/pathogen.html
http://parasite.org.au/para-site/text/entamoeba-text.html#:~:text=Host%20range%3A%20Entamoeba%20histolytica%20is,in%20tropical%20and%20subtropical%20countries.